Any edentulous space created by the loss of a canine and any two contiguous teeth is best restored with:
1. FPD
2. RPD
3. Both
4. Depends upon the status of the abutment.

Correct answer: 2. RPD

Explanation: Missing maxillary canine or mandibular canine (one tooth) come under complex  fixed partial dentures and central incisor, lateral incisor and 1st premolar acts as abutments, where as for other teeth(incisors, premolars and molars) the adjacent teeth in relation to the missing tooth are enough to act as abutments.
FPD replacing canines can be difficult because the canine often lies outside the interabutment axis.
An edentulous space created by the loss of a canine and any two contiguous teeth is best restored with a RPD.